Type of cataract in chalcosis is -
1. Sunflower cataract
2. Blue dot Cataract
3. Snowflake cataract
4. Polychromaticlustre

Correct answer: 1. Sunflower cataract

Explanation: Ans. is 'a' i.e. Sunflower cataract DiseaseCataractMyotonic DystophyChristmas tree cataractWilson's disease, chalcosisSunflower cataractDM, Down's SyndromeSnowflake cataractAtopic dermatitisBlue dot cortical cataract, posterior subcapsular cataractCongenital rubellaNuclear cataractGalactosemiaOil drop cataractComplicated cataract (Iridocyclitis, High myopia)Posterior cortical breads's crumb appearancePolychromatic lusture / Rainbow cataractBlunt traumaVossius ring on anterior surface of lensRosette shaped cataract